Boot shaped heart on chest X-ray is seen in
1. TGA
2. TAPVC
3. PAPVC
4. Tetrofogy of fallot

Correct answer: 4. Tetrofogy of fallot

Explanation: Radiological findings of TQF
i) Boot shaped heart (Coeur en Sabot)
ii) Normal sized heart (no cardiomegaly)
iii) Pulmonary oligemia
iv)Right aortic arch (in 25% cases).